A 50 year old male, working as a hotel cook, has four dependent family members. He has been diagnosed with an early stage squamous cell cancer of anal canal. He has more than 60% chances of cure. Which of the following is the best treatment option?
1. Chemotherapy alone
2. Abdominoperineal resection
3. Combined surgery and radiotherapy
4. Combined chemotherapy and radiotherapy

Correct answer: 4. Combined chemotherapy and radiotherapy

Explanation: A combination of chemotherapy and radiotherapy, so-called chemo radiation (Nigro) is the preferred initial therapy for all anal canal tumours. In such patients a combination of 5 flourouracil and mitomycin is given for approximately 1 week and chemotherapy is followed by radiotherapy, given over 3-7 weeks. Ref: Bailey and Love's Short Practice of Surgery, 24th Edition, Pages 1269-1271.